Apexogenesis of incompletely formed root is:
1. Induce the formation of apical 1/3 of root
2. Closure of apical formation in a developing tooth
3. Induce the formation of apical 2/3 of root
4. Deposition of cellular cementum at open apex

Correct answer: 2. Closure of apical formation in a developing tooth

Explanation: APEXOGENESIS
Apexogenesis is a treatment designed to preserve vital pulp tissue in the apical part of a root canal so that formation of the root apex may be completed.
Because of the depth at which this procedure is performed, preference has usually been given to the use of Ca(OH)2 rather than MTA because, in the event of failure, this may facilitate reentry to the root canal to perform apexification or pulp regeneration. Also, if apexogenesis is successful and root-end formation is complete, the tooth could be reentered if desired for  conventional root canal treatment. It is unclear whether these concerns hold true in an era of microscopy and contemporary microinstrumentation.